Gama globulins are synthesized in -
1. Liver
2. Lung
3. Plasma cells
4. Spleen

Correct answer: 3. Plasma cells

Explanation: Ans. is 'c' i.e., Plasma cells o Gamma globulins (immunoglobulins) are synthesized by plasma cells.Plasma cellso Plasma cells are the antibody secreting cellso On contact with its appropriate antigen, the mature B cell undergoes clonal proliferation. The majority of activated B cells are transformed into plasma cells and secrete antibodies,o Plasma cells make an antibody of a single specificity, of a single immunoglobulin class and allotype.and of a single light chain type only. An exception is seen in the primary antibody response, when a plasma cell producing Ig M initially, may later be switched to Ig G production.o While plasma cell is the best antibody producing cell, lymphocytes, lymphoblasts and transitional cells may also synthesise Ig to some extent.